Which of the following occurs in Charcot's triad ?
1. Pain abdomen
2. Fever and chills
3. Jaundice
4. All

Correct answer: 4. All

Explanation: Ans. (a) Pain abdomen (b) Fever and chills; (c) Jaundice